Methotrexate is used for the management of all of these conditions except
1. Rheumatoid arthritis
2. Psoriasis
3. Sickle cell anemia
4. Organ transplantation

Correct answer: 3. Sickle cell anemia

Explanation: Methotrexate is used for the management of: